Feature of hydrops fetalis in a fetus can be due to:
1. Ebstein barr virus
2. Human papilloma virus
3. Parvovirus B19
4. Influenza Virus

Correct answer: 3. Parvovirus B19

Explanation: Hydrops fetalis - Excessive destruction of the fetal red cells leads to severe anemia, tissue anoxemia and metabolic acidosis It is accumulation of fluid in the body of the fetus in two out of three compartments: ascites, pleural effusion, pericardial effusion Most common cause of immune hydrops fetalis - Rh incompatibility Others causes of hydrops fetalis Cardio vascular cause - congenital heart block ( Most common) Chromosomal cause - turner syndrome (45 XO ), triploidy , trisomies 21,18 and 13 Hematological - a 4 - thalassemia (HB barts) , fetomaternal hemorrhage Infections - Parvovirus B19(mc) , syphilis , cytomegalovirus, toxoplasmosis Rubella, HSV